Not a part of epithalamus
1. Pineal body
2. Geniculate body
3. Trigonum habenulae
4. Posterior commisure

Correct answer: 2. Geniculate body

Explanation: The epithalamus consists of the habenular trigones on each side of the third ventricle, the pineal body (pineal gland or epiphysis cerebri), and the habenular commissure